All of the following drug act on the dopaminergic receptors except:
1. Domperidone
2. Dobutamine
3. Fenoldopam
4. Metclopramide

Correct answer: 2. Dobutamine

Explanation: Ans. B: Dobutamine A. Dopamine agonists include Bromocriptine Cabergoline Pergolide Pramipexole Ropinirole Apomorphine Rotigotine Some, such as fenoldopam, are selective for dopamine receptor Dl B. Dopamine antagonists Used as atypical antipsychotics (coupled with serotonin antagonist effects): - Clozapine - Risperidone - Olanzapine - Ziprasidone Used as antiemetics: - Metoclopramide - Droperidol - Domperidone Used as tricyclic antidepressants: -- Amoxapine